In stab wounds, Langer's lines determine:
1. Direction
2. Gaping
3. Shelving
4. Healing

Correct answer: 2. Gaping

Explanation: CLEAVAGE LINES OF LANGER The pattern of collagen fiber arrangement are the lines of cleavage of the skin and their linear representations on the skin are known as "Langer's line of cleavage" . A stab wound with long axis at right angles to the cleavage lines of Langer, will gape more. * A stab injury that runs parallel to these lines will gape less.